Adjuvant used in DPT vaccine:
1. Lead
2. Zinc
3. Aluminum
4. Iron

Correct answer: 3. Aluminum